Which amino acid spares the use of methionine -
1. Cysteine
2. Glycine
3. Histidine
4. Arginine

Correct answer: 1. Cysteine

Explanation: Ans. is 'a' i.e., Cysteine "Adequate dietary source of cysteine 'spares ' methionine".o Methionine is an essential amino acid.o Methionine is required for synthesis of cysteine (thus cysteine is non-essential amino acid)o Thus, cysteine can spare the requirment of methionine in diet.